Both Vitamin K and C are involved in
1. The synthesis of clotting factors
2. Post translational modifications
3. Antioxidant mechanisms
4. The microsomal hydroxylation reactions

Correct answer: 2. Post translational modifications

Explanation: Vitamin C plays the role of a coenzyme in the hydroxylation of proline and lysine while procollagen is converted to collagen (i.e. post-translational modification). The functions of vitamin K are concerned with the blood clotting process. It brings about the posttranslational (after protein biosynthesis in the cell) modification of certain blood clotting factors ii, vii, ix, x ref Satyanarayana 4th ed page 130, 132